A patient presents with pain and paresthesia on the palmar surface of the lateral portion of the hand and the palmar surface of the first three digits. Through which of the following muscles does the nerve that supplies this region pass?
1. Coracobrachialis
2. Flexor carpi ulnaris
3. Flexor digitorum superficialis
4. Pronator teres

Correct answer: 4. Pronator teres

Explanation: The median nerve provides sensory innervation to the skin of the lateral portion of the palmar surface of the hand and to the skin of the palmar surface of the first three and one-half digits. After the median nerve crosses the elbow to enter the forearm, it passes between the two heads of the pronator teres muscle. The median nerve is subject to entrapment neuropathy in this region.